The minor connector for a mandibular distal extension base should extend posteriorly about _____.
1. Two-third the length of the edentulous ridge
2. Half the length of the edentulous ridge
3. One-third the length of the edentulous ridge
4. As long as possible

Correct answer: 1. Two-third the length of the edentulous ridge

Explanation: The minor connector for the mandibular distal extension base should extend posteriorly about two thirds the length of the edentulous ridge; this adds strength to the denture base.